Lingual plate major connector should be supported anteriorly by:
1. Bracing arm.
2. Minor connector.
3. Rests.
4. All of the above.

Correct answer: 3. Rests.

Explanation: Lingual plate major connector should be supported anteriorly by rests, located on the mesial fossa of the first premolar on either side.
Lingual plate extends upto the cingulum of the lingual surface of anterior teeth.